Radio opaque stone is
1. Uric acid stone
2. Triamterene
3. Struvite
4. All of the above

Correct answer: 3. Struvite

Explanation: Radio opaque stones - Cystine, struvite, calcium oxalate, calcium phosphate.